Histological scoring' of chronic hepatitis does not include -
1. Periportal inflamation
2. Portal fibrosis
3. Bridging necrosis
4. Cholestasis

Correct answer: 4. Cholestasis